C3 convertase acts on -
1. C4b2b
2. C4b2B3a
3. C4b
4. C3

Correct answer: 4. C3

Explanation: C3 convertase splits split C3 into two fragments : C3a which is an anaphylatoxin and C3b which remains cell bound along with C4b2a to form a trimolecular complex C4b2a3b which has enzymatic activity and is called C5 convertase. Reference : Anathanarayan & paniker's 9th edition, pg no: 122